"One basic health worker per 10,000 population" is given by which committe?
1. Chadha committee
2. Mukherji committee
3. Jungalwalla committee
4. Balwant Rai Mehta committee

Correct answer: 1. Chadha committee

Explanation: Committiee Recommendations Chadha committee For maintenance phase of National malaria eradication programme. 1 basic health worker / 10,000 population. Mukherji committee De-link Malaria & family planning Basic health services Jungalwalla committee Committee on Integration of health services in India. Equal pay for equal work . Ban on private practice by government doctors. Balwant Rai Mehta committee Panchayati Raj Institutions 3 tier rural health infra-structure Zila parishad - District Panchayat samiti - Block Panchayat - Village